Beta blockers which can be used in kidney dysfunction are all Except
1. Celiprolol
2. Propronolol
3. Betaxolol
4. Sotalol

Correct answer: 4. Sotalol

Explanation: Lipid soluble beta blockers like atenolol, sotalol and nadolol are excreted by the kidney, so contraindicated in renal dysfunctionRef: KD.Tripati 6th ed.pg 140